True about the epidemiology of influenza
1. Incubation period 10-12 hrs
2. Extra human reservoir not seen
3. Pandemics occur
4. Asymptomatic see rarely

Correct answer: 3. Pandemics occur

Explanation: The incubation period is 18-72 hours.Major reservoir of influenza viruses exists in animals and birdsOccur in pandemics every 10-40 years.During pandemics, attack rates tend to be high 5-10% in adults, 20-30% in children.Infects all ages and sexes. Park 23e pg: 147